Which of the following is a part of secondary granules in neutrophils?
1. Cathepsin G
2. Lactoferrin
3. Defensin
4. Myeloperoxidase

Correct answer: 2. Lactoferrin

Explanation: Ans. is 'b' i.e., LactoferrinLvsosomal enzymes:These are present in the lysosomes of neutrophils and monocytes. Lysosomes contain two types of granules; Primary (azurophilic) and Secondary (specific) granules.